Immunoglobulins given in -
1. Wiskott Aldrich syndrome
2. X linked hypogammaglobulinemia
3. Kawasaki disease
4. All of the above

Correct answer: 4. All of the above